A person was brought to the emergency with a history of something stuck in his throat during his dinner which progressed to dyspnea, the probable diagnosis is:
1. Myocardial infarction
2. Choking
3. Pulmonary embolism
4. Aortic dissection

Correct answer: 2. Choking

Explanation: Ans. Choking